All the following are strong supports of uterus EXCEPT:
1. Uterosacral ligament
2. Round ligament of uterus
3. Mackenrodt's ligament
4. Transcervical ligament

Correct answer: 2. Round ligament of uterus

Explanation: Ans. B. Round ligament of uterusSUPPORTS OF UTERUS AND BLADDERThe supports of uterus and bladder are seen to be triradiate condensation of endopelvic fascia:a. The anterior spoke is the pubo-vesical cervical fascia which passes from anterolateral aspect of the cervix to be attached to back of pubic bone lateral to the symphysis. Some of its cervical attachments fans out laterally and imperceptibly into transverse cervical or Mackenrodt's ligament.b. Lateral spoke is Mackenrodt's ligamentc. Posterior spoke is utero- sacral ligament.